The dangerous particle size causing pneumoconiosis varies from -
1. 100-150 m
2. 50-100 m
3. 10-50 m
4. 1-5 m

Correct answer: 4. 1-5 m

Explanation: Ref:Textbook of pathology (Harsh Mohan)6th edition, page no.487 In general, most of the inhaled dust particles larger than 5 mm reach the terminal airways where they are ingested byalveolar macrophages. Most of these too are eliminated by expectoration but the remaining accumulate in alveolar tissue. Of particular interest are the particles smaller than 1 mm which are deposited in the alveoli most efficiently. Most of the dust-laden macrophages accumulated in the alveoli die leaving the dust, around which fibrous tissue is formed. Some macrophages enter the lymphatics and reach regional lymph nodes.